Causes of localized hypopigmented macule or patch are all except
1. Vitiligo
2. Piebaldism
3. Pityr i as is alba
4. Freckle

Correct answer: 4. Freckle

Explanation: Freckles - multiple, ill-defined brown macules, which darken on sun exposure. Individual macules may show variation in skin color. All the other three condition produces localized hypopigmented macules or patch.